All of the following vaccines are given at 16 - 24 months according to NIS except:-
1. DPT booster
2. OPV booster
3. Japanese encephalitis 2nd dose
4. PCV booster

Correct answer: 4. PCV booster

Explanation: NIS (National Immunization Schedule, India 2019-20) - At Birth : BCG, OPV0, Hep B - 6 Weeks : DPT1, OPV1, Hep B1, HiB1, Rota V1, fractionated IPV1, PCV1 - 10 Weeks : DPT2, OPV2, Hep B2, HiB2, Rota V2 - 14 Weeks : DPT3, OPV3, Hep B3, HiB3,Rota V3, fractionated IPV2, PCV2 - 9 months : Measles1/MR1, Vitamin A, PCV Booster, live JE1 - Every 6 months : Vitamin A (2 Lacs IU) till 5 years - 16-24 months : DPTB, OPV Booster, Measles2/MR2, live JE2 - 5 Years : DPTB - 10 Years : TT - 16 Years : TT - Pregnancy : TT (In 2020, TT to replaced with Td)